Drugs used in Heroin withdrawl are A/E
1. Buprenorphine
2. Clonidine
3. Dextropropoxyphene
4. Haloperidol

Correct answer: 4. Haloperidol

Explanation: D i.e. Haloperidol